Which of the following drug is effective against both Pseudomonas and Proteus?
1. Cloxacillin
2. Amoxicillin
3. Carbenicillin
4. Ampicillin

Correct answer: 3. Carbenicillin

Explanation: Carbenicillin is effective against both proteus and pseudomonas. Cloxacillin is a -penicillinase resistant penicillin. - It is mainly effective against gram positive bacteria particularly those producing penicillinase. - It is not effective against proteus or pseudomonas. Amoxicillin and ampicillin are wide spectrum penicillins. - These are effective against many gram negative bacteria including proteus. However, these are not effective against Pseudomonas. ANTI-PSEUDOMONAL PENICILLINS C: Carbenicillin T: Ticarcillin M: Mezlocillin A: Azlocillin P: Piperacillin